The derivative of midgut among the following is
1. Rectum
2. Appendix
3. Liver
4. Stomach

Correct answer: 2. Appendix

Explanation: HUMAN EMBRYOLOGY-INDERBIR SINGH TENTH EDITION-PAGE NO:188Caecum and appendixThe caecal bud is a diverticulum that arises from the post arterial segment of the midgut Loop. The caecum and appendix are formed by the enlargement of this bud. The proximal part of the bud grows rapidly to form the caecum. Its distal part remains narrow and forms the appendix